IFA supplementation is an example of:
1. Primordial
2. Specific protection
3. Secondary
4. Tertiary

Correct answer: 2. Specific protection

Explanation: Ans. (b) Specific protectionRef: K. Park 23rd ed. / 41* IFA supplement is a chemoprophylaxis given during pregnancy for anemia. It comes under primary level of prevention which is implemented under specific protection.